Anterior interosseous nerve is a branch of which nerve ?
1. Radial
2. Ulnar
3. Median
4. Axillary

Correct answer: 3. Median

Explanation: Ans. C) Median The anterior interosseous nerve (volar interosseous nerve) is a branch of the median nerve that supplies the deep muscles on the anterior of the forearm, except the ulnar (medial) half of the flexor digitorum profundus.